Induction agent of choice in day care surgery is :
1. Ketamine
2. Propofol
3. Methohexitone
4. Thiopentone sodium

Correct answer: 2. Propofol